All the following are criteria for the diagnosis of HELLP syndrome Except
1. Hemolysis
2. Elevated Liver enzymes
3. Low platelet count
4. Pulmonary edema

Correct answer: 4. Pulmonary edema

Explanation: Criteria for the Diagnosis of HELLP syndromeHemolysisBurr cells, Schistocytes in the blood smearBilirubin >= 1.2mg/dlAbsent plasma haptoglobinElevated Liver EnzymesAST >= 72 IU/LLDH > 600 IU/LLow platelet countPlatelets < 1,00,000/mm3Reference: Reference: Practical guide to High-risk pregnancy and delivery; Chapter 16; Hypertensive disorders in Pregnancy